The % of coincidence between a sore throat and acute rheumatic fever is -
1. 3%
2. 5%
3. 7%
4. 9%

Correct answer: 1. 3%